Epimembranous deposition is seen in -
1. Good pasteur syndrome
2. Membranous GN
3. MPGN
4. MCD

Correct answer: 2. Membranous GN

Explanation: Epimembranous (along the glomerular capillary wall) deposition is seen in membranous GN and Heyann glomerulonephritis.